Confounding factor is defined as
1. Factor associated with both the exposure and the disease and is distributed unequally in study and control groups.
2. Factor associated with exposure only and is distributed unequally in study and control groups.
3. Factor associated with both the exposure and the disease and is distributed equally in study and control groups
4. Factor associated with the disease and is distributed equally in study and control groups

Correct answer: 1. Factor associated with both the exposure and the disease and is distributed unequally in study and control groups.

Explanation: A "confounding factor" is defined as one which is associated both with exposure and disease, and is distributed unequally in study and control groups. More specifically a "confounding factor" is one that, although associated with "exposure" under investigation, is itself, independently of any such association, a "risk factor" for the disease. Ref:- K Park, 24th ed; pg num:- 78